Tobey-Ayer test and Crowe-Beck test are used for?
1. Lateral sinus thrombosis
2. Petrositis
3. Cerebral abscess
4. Subarachnoid hemorrage

Correct answer: 1. Lateral sinus thrombosis

Explanation: Ans. is 'a' i.e., Lateral sinus thrombosis Tobey-Ayer-Queckenstedt sign is used in the diagnosis of unilateral and bilateral lateral sinus thrombophlebitis. In cases where the lateral sinus is obstructed on one side, compression of the jugular vein on the intact side causes a rise in CSF pressure, whereas compression of the obstructed side does not raise the CSF pressure. Crowe-Beck test :- Pressure on jugular vein of healthy side produces engorgement of retinal veins. Pressure on affected side does not produce such change.